Neonatal conjunctivitis is caused by all except-
1. Gonococcus
2. Chlamydia
3. Aspergillus
4. Pseudomonas

Correct answer: 3. Aspergillus

Explanation: Gonococcus,Chlamydia & Pseudomonas are the common organisms causing Neonatal conjunctivitis Gonococcal infection was considered a serious disease in the past, as it used to be responsible for 50 per cent of blindness in children. Neonatal inclusion conjunctivitis caused by serotypes D to K of Chlamydia trachomatis is the commonest cause of ophthalmia neonatorum in developed countries. Ref: A K KHURANA COMPREHENSIVE OPHTALMOLOGY,E4,page-72 ref img